Holman Millar sign is seen in
1. Nasopharyngeal angiofibroma
2. Cranipharyngioma
3. Nasopharyngeal carcinoma
4. Laryngeal carcinoma

Correct answer: 1. Nasopharyngeal angiofibroma

Explanation: Anterior bowing of the posterior wall of maxillary sinus often called antral sign or Holman-Miller sign, which is pathognomic of angiofibroma Ref:(Diseases of Ear, Nose and Throat, P.L Dhingra, 7th edition, page 281)